Hot teeth refers to:
1. Temperature of the tooth increases due to pulpitis.
2. Difficult to anasthesize.
3. Both of the above
4. Periapical abscess increases the temperature of the involved tooth.

Correct answer: 2. Difficult to anasthesize.